Tolazoline is:-
1. Thrombin inhibitor
2. Vasodilator
3. Vasoconstrictor
4. Antispasmodic

Correct answer: 2. Vasodilator

Explanation: Phentolamine and Tolazoline are non-selective alpha blockers. Cause vasodilation in peripheral vessels Used in Raynaud's disease and enhance angiography in peripheral vessels Alpha 1 agonist (Phenylephrine) are vasoconstrictors. Anticholinergic drugs like dicyclomine are used as antispasmodics. Indirect thrombin inhibitors: Heparin, LMWH, Fondaparinux, Danaparoid. Direct thrombin inhibitors: Lepirudin, Bivalrudin, Argatroban